Regarding Alzheimer's disease which is/are not true :
1. Initial loss of long term memory
2. Delayed loss of short term memory
3. Step ladder pattern
4. All

Correct answer: 4. All

Explanation: A. i.e. Initial loss of long term memory B. i.e. Delayed loss of short term memory C. i.e. Step ladder pattern